In relation to opening of maxillary sinus, the nasolacrimal duct courses:
1. Anterior
2. Posterior
3. Lateral
4. Medial

Correct answer: 1. Anterior

Explanation: Nasolacrimal duct lies anterior to the uncinate process and the ostium of maxillary sinus. The average distance between the nasolacrimal duct and ostium of maxillary sinus is only 7.0 mm. It makes the lacrimal duct vulnerable to injury' when ostium is enlarged anteriorly during endoscopic sinus surgery.Relationship of nasolacrimal duct to ostium of maxillary sinus.